Hepatitis C virus is associated with
1. Churg-strauss syndrome
2. Hypersensitivity Vasculitis
3. Cryoglobulinemic Vasculitis
4. Polyarteritis nodosa

Correct answer: 3. Cryoglobulinemic Vasculitis

Explanation: Polyarteritis nodosa - Hepatitis B associated.
Cryoglobulinemic Vasculitis - Hepatitis C associated.